Prevention or treatment of osteoporosis in post-menopausal women may be achieved by all EXCEPT:
1. Estrogen and progesterone hormone replacement  therapy
2. Calcium and vitamin D supplementation
3. Bisphosphonates
4. Multivitamins

Correct answer: 4. Multivitamins